All are vector-borne diseases are, except -
1. KFD
2. JE
3. Brucella
4. Plague

Correct answer: 3. Brucella

Explanation: Description: Brucellosis or Malta fever is a bacterial zoonosis. Transmitted to man by direct/indirect contact with infected animals. Caused by Brucella group of organisms and characterized by intermittent or irregular febrile attacks, with profuse sweating, arthritis, and an enlarged spleen. Mode of transmission is by contact with infected tissues, ingestion of infected milk or dairy products, and as airborne infection by inhaling infected dust or aerosols. KFD- vector is tick Japanese encephalitis - vector Culex mosquito Plague- vector is rat flea. Park's Textbook of Preventive and Social Medicine, 25th Edition, Pg 317, 840